During active labour cervical dilatation per hour in primi is:
1. 1.2 cm
2. 1.5 cm
3. 1.7 cm
4. 2 cm

Correct answer: 1. 1.2 cm

Explanation: Ans. is a, i.e. 1.2 cmLabour is said to active when:Cervix is dilated to at least >=6cm.QRegular uterine contractions are present.QRate of dilatation is at least 1.2cm/hrQ for nulliparous and 1.5cm/hrQ for parous women.